Water hammer pulse is also known as:
1. Corrigan's pulse
2. Duroziez pulse
3. Traube's sign
4. Quincke pulsation

Correct answer: 1. Corrigan's pulse

Explanation: A rapidly rising "water-hammer" pulse, which collapses suddenly as arterial pressure falls rapidly during late systole and diastole (Corrigan's pulse), and capillary pulsations, an alternate flushing and paling of the skin at the root of the nail while pressure is applied to the tip of the nail (Quincke's pulse), are characteristic of free Aortic regurgitation. Ref: Harrison's principle of internal medicine 17th edition, chapter 230.